AION is seen in which of the following conditions
1. Chronic simple glaucoma
2. Gaint cell arteritis
3. Chronic iridocyclitis
4. Sarcoidosis

Correct answer: 2. Gaint cell arteritis

Explanation: ANTERIOR ISCHAEMIC OPTIC NEUROPATHY(AION) refers to ischaemic damage to the optic nerve head from occlusion of the short posterior ciliary arteries. It is of two types : Aeretic AION - results from inflammatory and thrombotic occlusion of short posterior ciliary arteries caused by Giant Cell Arteritis (GCA) , usually occurs in older patients (mean age 70 yrs) and accounts for only 5-10% cases of AION. Non aeretic AION - accounts for 90 - 95% cases of AION. Exact etiology of occlusion of posterior ciliary arteries causing infarction of the retrolaminar portion of the disc is not known. Risk factors include cataract surgery , HTN, diabetes , drugs (sildenafil). Ref: khurana 6th edition page no.318